Which one of the following intrauterine contraceptive devices has the lowest pregnancy rate
1. Lippes loop
2. Cu - 7
3. Cu T - 200
4. Levonorgestrel IUD

Correct answer: 4. Levonorgestrel IUD

Explanation: Levonorgestrel IUD